Which of the following base is not found in nucleic acids?
1. Adenine
2. Guanidine
3. Uracil
4. Cytosine

Correct answer: 2. Guanidine

Explanation: Adenine, Guanine, Cytosine, Thymine, and Uracil are Nucleic acids Ref-Harpers illustrated biochemistry 30/e p380